Mutation in sickle cell anemia is
1. Silence
2. Missense
3. Non-sense
4. Frame-shift

Correct answer: 2. Missense

Explanation: Missense mutation - Sickle cell anaemia.
Non-sense mutation - Beta thalassemia.